Anaerobic glycolysis occurs in all except
1. RBCs
2. Lens
3. Brain
4. Testis

Correct answer: 3. Brain

Explanation: In the brain, the requirement is substantial, and even in prolonged fasting the brain can meet no more than about 20% of its energy needs from ketone bodies. Glycolysis, the major pathway for glucose metabolism, occurs in the cytosol of all cells. It can function either aerobically or anaerobically, depending on the availability of oxygen and the electron transport chain.Erythrocytes, which lack mitochondria, are completely reliant on glucose as their metabolic fuel, and metabolize it by anaerobic glycolysis. However, to oxidize glucose beyond pyruvate (the end product of glycolysis) requires both oxygen and mitochondrial enzyme systemsRef: harper's biochemistry 30 edition, page no: 168